Infantile polycystic disease is-
1. Autosomal dominant
2. Autosomal recessive
3. X-linked
4. Multifactorial genetic disease

Correct answer: 2. Autosomal recessive

Explanation: Robbins basic pathology 6th edition, page no.940. polycystuc kidney disease can be an adult type or childhood type. The childhood type or infantile type is an autosomal ressesive, while the other is autosomal dominant. With this autoaomal ressesive inheritance the infant may succumb rapidly into renal failure.